A 35 year old obese female with deteriorating hirsutism and high testosterone. True is
1. She is at risk of ovarian cancer
2. She is at risk of endometrial cancer
3. She is at risk of cervical cancer
4. None of the above

Correct answer: 2. She is at risk of endometrial cancer

Explanation: Consequences of Polycystic Ovarian SyndromeSho-Term ConsequencesLong-Term ConsequencesMenstrual dysfunction (Irregular menses)AmenorrheaOligomenorrheaEpisodic menometrorrhagiaHyperandrogenismHirsutismAcneAndrogenic alopeciaInfeilityObesityInsulin resistance (Acanthosis nigricans)Dyslipidemia (Androgenic lipoprotein profile)|LDL|TG|Total cholesterol: HDL ratio|HDLMetabolic syndrome - Characterized by insulin resistance, obesity, androgenic dyslipidemia and hypeensionObstructive sleep apnea (Related to central obesity and dyslipidemia)Diabetes mellitus Increased risk of impaired glucose tolerance and type 2 DM in PCOS patientsCardiovascular diseases: Greater prevalence of atherosclerosis and cardiovascular disease with an increased risk of myocardial infarctionCancerEndometrial carcinoma (3 fold increase risk)Ovarian cancerWomen with PCOS are associated with a definite increased risk of endometrial cancer. An increased risk of ovarian cancer and breast cancer has also been suggested.(Refer: Novak's Textbook of Gynaecology, 14th edition, pg no-1077)